A man with very high fever shows strongly positive agglutination test with OXK antigen. The most likely diagnosis is-
1. Tsutsugamushi fever
2. Trench fever
3. Undulent fever
4. Relapsing fever

Correct answer: 1. Tsutsugamushi fever